The hot-cold phenomenon is seen due to which toxin-
1. Alpha lysin
2. Beta lysin
3. Gamma lysin
4. Theta lysin

Correct answer: 2. Beta lysin

Explanation: Beta hemolysin: is a sphingomyelinase hemolytic for sheep Blood cells but not for human or rabbit blood cells . It exhibits hot cold phenomenon the hemolysis being at 37degC but becoming evident only after chilling Ref: Ananthanarayan & paniker's Textbook of Microbiology 9th edition pg no 202